Intracellular calcification begin in the-
1. Mitochondria
2. Endoplasmic reticulum
3. Golgi bodies
4. Intracellular vocuoles

Correct answer: 1. Mitochondria

Explanation: Ans. is 'a' i.e., Mitochondria